Ticagrelor is used
1. In COPD patients
2. For prevention of thrombotic events
3. As Antihypertensive
4. For Weightloss in childhood obesity

Correct answer: 2. For prevention of thrombotic events

Explanation: Ticagrelor is a platelet agreggaion inhibitor, used for the prevention of thrombotic events in people with an acute coronary syndrome or myocardial infarction with ST elevation. other drus in this group include cangrelor pasugrel . The drug is combined with acetylsalicylic acid Ref: KD T ripathi 8th ed.